Drug used for smoking cessation
1. Varenicline
2. Nalmefene
3. Gabapentin
4. Acamprosate

Correct answer: 1. Varenicline

Explanation: Varenicline * Varenicline - partial agonist at alpha 3 beta 4, alpha 4 beta 2 & alpha 6 beta 2 subtypes of nAChRs and agonist at alpha 7 nicotinic Acetyl Choline Receptors. Block rewarding properties of nicotine, alcohol and drugs of abuse. Ref:- Goodman & Gilman Pharmacological Basis of Therapeutics 13th Ed; Pg num:- 430